The most common cause of shock of children is
1. Hypovolemic shock
2. Cardiogenic shock
3. Septic shock
4. Neurogenic shock

Correct answer: 1. Hypovolemic shock

Explanation: Hypovolemic shock is the most common cause of shock in children and adults.